Pleomorphic adenoma is most commonly found in:
1. Parotid gland.
2. Sublingual gland.
3. Submandibular gland.
4. lacrimal gland.

Correct answer: 1. Parotid gland.